The theory of "epidemiological web of causation" was forwarded by
1. Robert Koch and Louis Pasteur
2. McMahon and Colleagues
3. Henle-Koch
4. John Stuart Mill

Correct answer: 2. McMahon and Colleagues

Explanation: For explaining the causation of such non-communicable diseases, in particular, McMahon and Colleagues (McMahon and Pugh T. Epidemiology: Principle and methods 1st Ed, 1970) forwarded the theory of "epidemiological web of causation" Ref: McMahon and Colleagues. Text book on Public Health and Community Medicine pg: 19.